Classical triad of global confusion, ataxia and ophthalmoplegia is seen in ?
1. Alzheimer's disease
2. Delerium tremors
3. Wernicke's encephalopathy
4. Korsakoff psychosis

Correct answer: 3. Wernicke's encephalopathy

Explanation: Ans. is 'c' i.e., Wernicke's encephalopathy